Pancreatic pseudocyst most commonly occurs after
1. Trauma
2. Pancreatitis
3. Pancreatic surgery
4. Pancreatic malignancy

Correct answer: 2. Pancreatitis

Explanation: Answer is B (Pancreatitis) Most common cause of pancreatic pseudocyst is Pancreatitis (90%). The second most common cause is trauma (10%).